A woman presents with amenorrhea of 6 weeks duration and lump in the right iliac fossa. Investigation of choice is :
1. USG abdomen
2. Laparoscopy
3. CT scan
4. Shielded X-ray

Correct answer: 1. USG abdomen

Explanation: Ans. is a i.e. USG abdomen The answer quite obvious and l do not think you need any reference for this one. X-ray and CT Scan should be avoided during pregnancy due to risk of radiation exposure.